Oxyhaemoglobin Dissociation Curve is shifted to the right in the following condition
1. Acidosis
2. Increased 2-3 DPG level
3. Hyperthermia
4. All the above

Correct answer: 4. All the above

Explanation: (D) All the above # Major factors involved in dissociation curve are:pH - increase, results in shift to the left. Decrease, results in shift to the right.Temperature - increase, results in shift to the right. Decrease, results in shift to the leftpCO2 - increase results in shift to the right. Decrease results in shift to the left.2,3-DPG - increase results in shift to the right, decrease results in shift to the left.OXYHAEMOGLOBIN DISSOCIATION CURVE Shift to LEFT(increase in O2 affinity)Shift to RIGHT(decrease in O2 affinity)> Fall in> Rise in |p50 | P50 |PCO2 | PCO2 | Temperature | Temperature> Decrease in> Increase in | Temperature | Temperature | Red cell 2,3-DPG | Red cell 2,3-DPG | Adenosine diphosphate | Adenosine diphosphate | Adenosine triphosphate | Adenosine triphosphate | Inorganic phosphates | Inorganic phosphates | Fetal blood> Anaemia> Residence at high altitude > Rise in> Fall in | pH | pH | Red cell carboxyHb | Methaemoglobin